A 12-year-old girl present with a well-defined annular pruritic lesion over the the neck with central clearing that is gradually progressive over the last 8 months. The likely diagnosis is -
1. Annular psoriasis
2. Lupus vulgaris
3. Tinea corporis
4. Leishmaniasis

Correct answer: 3. Tinea corporis

Explanation: Tinea corporis / glabrosa / circinate is manifested by well-demarcated, annular, pruritic, active margins, scaly lesions that undergo central clearing. These are sharply demarcated lesions with raised edges. Central crusting - Leishmaniasis Central scarring - Lupus vulgaris Annular pustular psoriasis : rare variant of pustular psoriasis. having an annular, or circinate, lesion morphology, with a tendency to spread and form enlarged rings.